Vesicle in ear with facial nerve palsy on same side due to which infection:
1. CMV
2. VZV
3. EBV
4. HSV

Correct answer: 2. VZV

Explanation: Ans. b. VZV